Most important arterial blood supply of femoral head is:
1. Femoral artery
2. Obturator artery
3. Internal pudendal artery
4. Medial circumflex femoral artery.

Correct answer: 4. Medial circumflex femoral artery.

Explanation: Ans: D. Blood Supply of Femoral Head BDC 4th/ Vol.II 16 # Smaller medial part near fovea is supplied by medial epiphyseal artery derived from posterior division of obturator arteryQ and ascending br. of medial circumflex femoral artery. # Longer lateral part by lateral epiphyseal arteryQ which is derived from retinacularbr. medial circumflex femoral artery. Most important Artery supplying Femoral head- Medial circumflex femoral artery and lateral epiphyseal artery.